A patient presented with some unknown fungal infection. Microscopic examination revealed brown coloured spherical fungi with septate hyphae. Possible condition:
1. Histolasmosis
2. Chromblastomycosis
3. Coccidioidomycosis
4. Candida albicans

Correct answer: 2. Chromblastomycosis

Explanation: Dermatiaceous Fungus Involves skin & sub cutaneous tissues Sclerotic bodies seen in tissue biopsy Brown colored lobose bodies Aka medlar bodies Show copper penny appearance Examples - 1) Philophora 2) Cladosporium